Patient reports sharp shooting retrosternal pain progressing downward initially between scapulae and later to epigastric region. On examination he has feeble lower limb pulse compared to upper limbs. This is highly suggestive of-
1. Coarctation of aorta
2. Dissecting aneurysm of aorta
3. Peripheral vascular disease
4. Aortoarteritis

Correct answer: 2. Dissecting aneurysm of aorta

Explanation: Aortic dissection (AD) occurs when an injury to the innermost layer of the aorta allows blood to flow between the layers of the aortic wall, forcing the layers apart.In most cases, this is associated with a sudden onset of severe chest or back pain, often described as "tearing" in character. Also, vomiting, sweating, and lightheadedness may occurOther symptoms may result from decreased blood supply to other organs, such as stroke or mesenteric ischemia Aortic dissection can quickly lead to death from not enough blood flow to the heart or complete rupture of the aorta AD is more common in those with a history of high blood pressure, a number of connective tissue diseases that affect blood vessel wall strength including Marfan syndrome and Ehlers Danlos syndrome, a bicuspid aortic valve, and previous heart surgery. Major trauma, smoking, cocaine use, pregnancy, a thoracic aortic aneurysm, inflammation of arteries, and abnormal lipid levels are also associated with an increased risk.The diagnosis is suspected based on symptoms with medical imaging, such as computed tomography, magnetic resonance imaging, or ultrasound used to confirm and further evaluate the dissection.The two main types are Stanford type A, which involves the first part of the aorta, and type B, which does not. Ref Davidson 23rd edition pg 431